Cardiac output decreases during:
1. High Environmental temperature
2. Anxiety and excitement
3. Eating
4. Standing from lying position

Correct answer: 4. Standing from lying position

Explanation: D i.e. Standing from lying position